Segmented genome is found in -
1. Retrovirus
2. Rotavirus
3. Poliovirus
4. Rhabdovirus

Correct answer: 2. Rotavirus

Explanation: Rotavirus has a characteristics appearance on electron microscopy resembling little wheel with short spokes REF:ANANTHANARYANAN TEXT BOOKS OF MICROBIOLOGY 9EDITION PGNO.560